All of the following factors normally increase the length of the ventricular cardiac muscle fibers except:
1. Increased venous tone.
2. Increased total blood volume
3. Increased negative intrathoracic pressure.
4. Lying-to-standing change in posture

Correct answer: 4. Lying-to-standing change in posture

Explanation: D i.e. Lying to standing change in posture When a person moves from a supine position to standing position volume of blood pools in the lower extremity because of high compliance of veins & venous return decreases. As a result of decreased venous return the length of ventricular cardiac muscle fibres is decreasedQ and so the cardiac output in accordance with frank-sterling law.